CAMBRA stands for:
1. Caries measurement by routine assessment
2. Caries modification by reassessment
3. Caries management by risk assessment
4. Caries monitoring by regular assessment

Correct answer: 3. Caries management by risk assessment

Explanation: Caries Management By Risk Assessment (CAMBRA):
It is a popular caries management technique, whereby the risk factors are assessed to prevent further caries and manage the condition.
Reference- Sturdevant 6th ed pg-65